First web space of toes is supplied by
1. Femoral nerve
2. Deep peroneal nerve
3. Superficial paroneal nerve
4. Saphenous nerve

Correct answer: 2. Deep peroneal nerve

Explanation: Deep peroneal nerve is the nerve of anterior compartment of the leg and the dorsum of foot. This is one of the two terminal branches of common peroneal nerve ( ventral primary rami of L4, L5, S1 and S2 segment) The nerve ends on the dorsum of the foot, close to the ankle joint, by dividing into lateral and medial terminal branches. Lateral terminal branch turns laterally and ends in pseudo ganglion deep to the extended digitorum brevis. Medial terminal branch ends by supplying skin adjoining the first interdigital cleft and the proximal joints of the big toe. Femoral nerve is the nerve of anterior compartment of thigh. Root value - dorsal division of ant primary rami of L2 L3 L4 ). Superficial peroneal nerve is smaller terminal branch of common paroneal nerve.Its branches supply the skin over lower 1/3 of lateral side of the leg, skin over the entire dorsum of foot except lateral border supplied by dural nerve and medial border up to base of great toe supplied by saphenous nerve and cleft between 1st and 2nd toes supplied by deep peroneal nerve Ref: BD Chaurasia(6th edition pg-95,96)